Earliest symptoms in acute appendicitis is ?
1. Pain
2. Fever
3. Vomiting
4. Rise of pulse rate

Correct answer: 1. Pain

Explanation: Ans. is 'a' i.e., Pain Schwartz writes - In more than 95% of patients with acute appendicitis, anorexia is the first symptom, followed by abdominal pain, which is followed in turn, by vomiting (if vomiting occurs). If vomiting precedes the onset of pain, the diagnosis of appendicitis should be questioned".